Fetal affection by Rh antibody are all except
1. Nonimmune hydrops fetalis
2. Icterus gravis neonatorum
3. Congenital anaemia of the newborn
4. Fetal death

Correct answer: 1. Nonimmune hydrops fetalis

Explanation: Immune hydrops can occur.It is the most serious disease.Hemolysis of the fetal red cells results in fetal anaemia.Fetal death may occur due to cardiac failure. For more information,refer page no 309 of text book of obsteics,sheila balakrishnan,2 nd edition.